Association of deafness & nephritis is seen in
1. Pickwickian syndrome
2. Alport's syndrome
3. Fabry's disease
4. Lawrence Moon Biedl syndrome

Correct answer: 2. Alport's syndrome

Explanation: Answer is B (Alport's syndrome): Alport's syndrome is an inherited disorder characterized by hereditary nephritis, sensorineural deafness and ocular abnormalities particularly lenticonus.